Serpentine receptor is a:
1. Three pass transmembrane protein
2. Five pass transmembrane protein
3. Seven pass transmembrane protein
4. Nine pass transmembrane protein

Correct answer: 3. Seven pass transmembrane protein

Explanation: Serpentine Receptors are G protein coupled receptors that span the cell membrane seven times (seven pass transmembrane protein). Ref: Ganong's Review of Medical Physiology, 21st Edition, Page 42